Psychogenic complaints are all except:
1. Haloes around light
2. Tired eyes
3. Periodic bluring of vision
4. Constant blinking

Correct answer: 1. Haloes around light

Explanation: Ans. Haloes around light